Hydrocortisone acts as an anti-inflammatory agent because of induction of the synthesis of which of the following protein?
1. Heat shock protein 90
2. Inhibin
3. Transcortin
4. Lipocortin

Correct answer: 4. Lipocortin

Explanation: (Ref: KDT 6/e p279) Corticosteroids induce the synthesis of lipocortins that inhibit the enzyme phospholipase A2.